Preserved in manchester operation:
1. Full length of cervix
2. Competency of os
3. Fertility
4. Menstruation

Correct answer: 4. Menstruation

Explanation: Ans. D: Menstruation Surgeon combines an anterior colporrhaphy with the amputation of the cervix, sutures the cut ends of the Mackenrodt's ligament in front of the cervix, covers the raw area on the amputated cervix with vaginal mucosa and follows it up with a colpoperineorrhaphy. It preserves menstrual and childbearing functions. However fertility is reduced. Cervical amputation leads to incompetent cervical os and habitual abortions/ preterm deliveries.